Pseudoachalasia may be caused by
1. Gastric adenocarcinoma
2. Lung carcinoma
3. Pancreatic carcinoma
4. All of the above

Correct answer: 4. All of the above

Explanation: Pseudoachalasia is an achalasia-like disorder with dysphagia and weight loss that is usually produced by adenocarcinoma of the cardia, but has also been described in relation to benign tumours at this level. It has been presumed that the inability of the sphincter to relax is linked to the loss of body peristalsis, but other cancers outside the oesophagus (bronchus, pancreas) have also been associated with pseudoachalasia.Reference : page 1036 Bailey and Love's short practice of surgery 25th edition